Visual acuity is a measure of:
1. Light sense
2. Form sense
3. Contrast sense
4. All of the above

Correct answer: 2. Form sense

Explanation: Ans. Form sense